Most common twins after assisted reproduction:
1. Monozygotic
2. Acardiac twin
3. Dizygotic twin
4. Conjoined twin

Correct answer: 3. Dizygotic twin

Explanation: Most common twins after assisted reproduction are dizygotic twins. For increasing the success of IVF and the expenses involved, it's a norm to transfer 2-3 embryos of day 3 or 1-2 embryos of Day 5. For women lesser than 35 years, the implantation rate is better and hence these are the ones who have more multiple pregnancies.